Use of fluorides is beneficial for pediatric patients because
1. It makes teeth more resistant to acid attack
2. Ingested fluoride is secreted in saliva
3. It enhances remineralization of enamel
4. All of the above

Correct answer: 4. All of the above

Explanation: Existing evidence indicates that the cariostatic activity of fluoride involves several different mechanisms. The ingestion of fluoride results in its incorporation into the dentin and enamel of unerupted teeth; this makes the teeth more resistant to acid attack after eruption into the oral cavity. In addition, ingested fluoride is secreted into saliva. Although it is present in low concentrations, the fluoride is accumulated in plaque, where it decreases microbial acid production and enhances the remineralization of the underlying enamel. Fluoride from saliva is also incorporated into the enamel of newly erupted teeth, thereby enhancing enamel calcification (frequently called enamel maturation), which decreases caries susceptibility.